Which of the following is used to differentiate tumour recurrence and rediation necrosis?
1. PET scan
2. MRI
3. 3D CT
4. USG

Correct answer: 1. PET scan

Explanation: Ans. is'a'i.e., PET scanPET may be used in therapeutic monitoring after chemotherapy or radiotherapy, with a classic indication being assessment for recurrent tumor versus radiation necrosis.Conventional imaging can not differentiate recurrent tumor from radiation necrosis.